All of the following are present in the acrosomal head of spermatozoa except?
1. alkaline phosphatase
2. acid phosphatase
3. acrosomase
4. hyaluronidase

Correct answer: 1. alkaline phosphatase